Which of the following is not a sign of stellate ganglion block?
1. Meiosis
2. Exophtahalmos
3. Nasal congestion
4. Conjunctival redness

Correct answer: 2. Exophtahalmos

Explanation: Exophthalmos (also called exophthalmos, exophthalmia, proptosis, or exorbitism) is a bulging of the eye anteriorly out of the orbit.Exophthalmos can be either bilateral (as is often seen in Graves' disease) or unilateral (as is often seen in an orbital tumor).